Mutations that completely disrupt the function of the gene used in which of the following technique:
1. Non-sense mutation
2. Restriction fragment length polymorphism
3. Targeted gene disruption
4. Knock-in

Correct answer: 3. Targeted gene disruption

Explanation: Targeted gene disruption/Gene knock -out : Mutations that completely disrupt the function of the gene. Predominantly used in mice tissue specific knock-out possible (cre/lox) Absence of phenotype possible due to redundancy. Targeted Knock-in : Introduction of subtle mutation(s) into gene by substitution of endogenous gene with gene carrying a specific mutation. Homologous recombination in embryonic stem cells Predominantly used in mice can accurately model human disease Restiction Fragment Length Polymorphism (RFLP): DNA variation occurring in more than 1% of general population is known as RELP. Use : Inherited disease in which the functional deficit is unknown Nonsense mutation: Nonsense codon result in the premature termination of amino acid incorporation into a peptide chain Production of only a fragment of intended protein molecule.